Risk factor for suicide in depression are all except:
1. Female
2. Male > 45 years
3. Child with conduct disorder
4. Family history

Correct answer: 1. Female

Explanation: Risk factor for suicide : Increased Risk Decreased Risk Male sex (men successfully commit suicide three times more often than women) Female sex (although women attemptsuicide three times more oftenthan men) A plan for suicide (e.g., decision to stockpile pills) No plan for suicide A means of committing suicide (e.g., access to a gun) No means of suicide Sudden appearance of peacefulness in an agitated, depressed patient (he has reached an internal decision to kill himself and is now calm) Taking pills or poison, Slashing one's wrists Note- Males have higher suicide risk than females. Please remember that females make more suicide attempts than males, however males complete suicide more commonly than females. This difference is mostly due to method used, males tend to use more lethal methods such as gun and hence are more likely to complete suicide. History of previous suicide attempts has the highest predictive value for future attempts.